Which of the following is false regarding placenta previa?
1. Painful recurrent vaginal bleeding
2. Size of uterus corresponds to gestational age
3. Uterus is relaxed
4. Floating head

Correct answer: 1. Painful recurrent vaginal bleeding

Explanation: Painful vaginal bleeding is not a clinical feature of placenta previa as the bleeding is painless. Clinical features of placenta previa: Sudden-onset recurrent painless vaginal bleeding: First bleeding usually appears after the end of the second trimester or later and is usually mild and not fatal. This is called 'Sentinel bleed' The size of uterus corresponds to gestational age Uterus is relaxed, soft, no tenderness Floating head Fetal heart sound is present unless there is major seperation and the patient is exsanguinated. Slowing of fetal heart rate on pressing the head down into the pelvis which recovers promptly as pressure is relieved is suggestive of a low-lying placenta especially of posterior type: Stallworthy sign. Pervaginal Examination should not be done in suspected placenta previa, whereas it can be only done in the operation theatre with all the arrangements for CS. Ref: DC Dutta's textbook of obstetrics 8th edition Pgno: 284 , 285